A patient presented with a platelet count of 700 x 109/L with abnormalities in size, shape and granularity of platelets. WBC count of 8 x109 L, hemoglobin of 12 g/dl and the absence of the Philadelphia chromosome. The most likely diagnosis would be?
1. Polycythemia vera
2. Essential thrombocythemia
3. Chronic myeloid leukemia
4. Leukemoid reaction

Correct answer: 2. Essential thrombocythemia

Explanation: A patient presents with thrombocytosis with abnormalities in size, shape and granularity of platelets, with normal WBC count & hemoglobin and the absence of the Philadelphia chromosome. The most likely diagnosis in this case would be Essential Thrombocythemia